Co-enzyme used in transamination -
1. NAD
2. Biotin
3. Pyridoxal phosphate
4. Riboflavin

Correct answer: 3. Pyridoxal phosphate

Explanation: Ans. is 'c' i.e., Pyridoxai phosphate o Pyridoxai phosphate (active form of vitamin Bs) is the coenzyme for transamination reactions.VitaminActive form (coenzymes)Reaction typeB1 (Thiamin)Thiamine pyrophosphate (TPP)Oxidative decarboxylation, TransketolationB2 (Riboflavin)FMN, FADOxidation / Reduction (Redox reaction)B3 (Niacin)NAD+, NADP+Oxidation / Reduction (Redox reaction)B6 (Pyridoxin)Pyridoxal phosphate (PLP)Transamination, deamination, decarboxylation, condensation, trans-sulfurationB12 (cobolamin)Methylcobalamin. deoxyadenosy Icoba lam inIsomerization of meihylmelonyl-CoA to succinyl-CoA, synthesis of methionine from homocysteineFolic acidTetrahydrofolate (THF)One carbon group transferBiotinBiocytinCarboxylationPantothenic acidPentothenate in Co A and ACPAcyl group transferVitamin KVitamin KCarboxylation of glutamic acid residue